Low serum iron and low serum ferritin is seen in:
1. Iron deficiency anemia
2. Chronic kidney disease
3. Sideroblastic anemia
4. Fanconi anemia

Correct answer: 1. Iron deficiency anemia

Explanation: Ans. (a) Iron deficiency anemiaRef-.Chapter 104: Harrison 18th editionDiseaseSerum ironSerum ferritinTIBCIron deficiency anemiaDecreasedDecreasedIncreasedChronic kidney disease (anemia is due to deficiency of erythropoietin)NormalNormal/ decreased if lost in urine due to kidney pathologyNormalSideroblastic anemiaIncreasedIncreasedDecreasedFanconi anemia( anemia is due to congenital aplastic anemia)NormalNormalnormal